Sclera, the protective covering of the eye, is thinnest at the following site:
1. Apex
2. Limbus
3. In front of insertion of rectus muscle
4. Behind insertion of rectus muscle

Correct answer: 4. Behind insertion of rectus muscle

Explanation: The sclera is the fibrous outer coating of the eye, consisting almost entirely of collagen. It is 1 mm thick posteriorly, 0.66 mm at the insertions of the rectus muscles, 0.33 mm beneath the rectus muscles and is thinnest just behind their insertions. Ref: Parsons' Diseases of the Eye By Ramanjit Sihota & Radhika Tandon, 21st edition, Page 218.